Zileuton is a
1. 5 lipooxygenase inhibitor
2. TXA2 inhibitor
3. Leukoteriene receptor antagonist
4. Prostaglandin synthesis inhibitor

Correct answer: 1. 5 lipooxygenase inhibitor

Explanation: Zileuton is an orally active inhibitor of 5-lipoxygenase, and thus inhibits leukotrienes (LTB4, LTC4, LTD4, and LTE4) formation, used for the maintenance treatment of asthma. Ref: KD Tripathi 8th ed